Conversion of short term - memory into long term memory occurs in:
1. Amygdala
2. Hippocampus
3. Frontal cortex
4. Hypothalamus

Correct answer: 2. Hippocampus

Explanation: Ans. B. HippocampusConversion of short term - memory into long term memory occurs in Hippocampus by formation of stronger synapses between neurons.